Larva of which of the following is seen in feces
1. Strongyloides stercoralis
2. Taenia solium
3. Taenia saginatum
4. Hymenolepis nana

Correct answer: 1. Strongyloides stercoralis

Explanation: Filariform larva is the infective form of strongyloides stercoralis The rhabditiform larva migrates into the lumen of the intestine and passes down the gut to be released in faeces Ref : panikers textbook of Medical parasitology 8th edition page 182